A lady with 8 wks pregnancy presented with random blood glucose of 177mg/d1. The treatment is:
1. Phenformin
2. Sulfonylurea
3. Insulin
4. Glipizide

Correct answer: 3. Insulin